Life span of mosquito is?
1. 1 week
2. 2 weeks
3. 1 month
4. 1 year

Correct answer: 2. 2 weeks

Explanation: Under favorable conditions of temperature and food supply, the life cycle from the egg to adult is complete in 7-10 days. Normally the adult mosquito lives for about 2 weeks. The males are generally short-lived Park's Textbook of Preventive and Social Medicine, 25th Edition, Pg